Reactionary hemorrhage occurs within what duration of surgery
1. 6 hours
2. 12 hours
3. 24 hours
4. 48 hours

Correct answer: 3. 24 hours

Explanation: Ans. is 'c' i.e., 24 hours Hemorrhage in surgery* Primary haemorrhage is haemorrhage occurring immediately as a result of an injury (or surgery).* Reactionary haemorrhage is delayed haemorrhage (within 24 hours) and is usually caused by dislodgement of clot by resuscitation, normalisation of blood pres- sure and vasodilatation. Reactionary haemorrhage may also result from technical failure such as slippage of a ligature.* Secondary haemorrhage is caused by sloughing of the wall of a vessel. It usually occurs 7-14 days after injury and is precipitated by factors such as infection, pressure necrosis (such as from a drain) or malignancy.